Which is not seen in Aschoff bodies -
1. Giant cell
2. Aschoff cells
3. Fibroblasts
4. Polymorphonuclear cells

Correct answer: 4. Polymorphonuclear cells

Explanation: Aschoff bodies pathognomonic for rheumatic fever foci of swollen eosinophilic collagen surrounded by collections of lymphocytes (primarily T cells) plasma cells, and plump activated macrophages called Anitschkow cells Aschoff giant cells occasionally punctuating zones of fibrinoid necrosis ref robbins 9th ed page 391